Grading disease severity as mild, moderate, severe is an example of which scale?
1. Nominal
2. Ordinal
3. Interval
4. Ratio

Correct answer: 2. Ordinal

Explanation: There are characteristics that should be measured in terms of quantities but nonavailability of a good instrument compels measure in terms of what is called an ordinal scale. Example is disease severity measured as mild, moderate or severe. Ref: Medical biostatistics, 1st edition pg: 99